RNA polymerase does not require :
1. Template (ds DNA)
2. Activated precursors (ATP, GTP, UTP, CTP)
3. Divalent metal ions (Mn2+, Mg2+)
4. Primer

Correct answer: 4. Primer

Explanation: D i.e. Primer